Thalidomide is used in all of the following except :
1. HIV associated peripheral neuropathy
2. HIV associated aphthous (mouth) ulcers
3. Behcet syndrome
4. Erythema nodosum leprosum

Correct answer: 1. HIV associated peripheral neuropathy